What is the normal pH range of blood?
1. 7.25-7.45
2. 7.25-7.35
3. 7.26- 7.36
4. 7.36-7.44

Correct answer: 4. 7.36-7.44

Explanation: Plasma pH of normal healthy individual is slightly alkaline and ranges between 7.35 - 7.45. pH of a solution is defined as the logarithm to the base 10 of the reciprocal of the H+ concentration, that is negative logarithm of the H+. pH of water at 25 degree celsius in which H+ and OH- ions are present in equal numbers is 7.0. For each pH unit less than 7.0, the H+ ion is increased 10 fold, for each pH unit above 7.0 it is decreased 10 fold. Ref: Ganong's Review of Medical Physiology, 24e, chapter 1